Which is not seen in multiple myeloma :
1. Anemia
2. Increased alkaline phosphatase
3. Hypercalcemia
4. Increased ESR

Correct answer: 2. Increased alkaline phosphatase

Explanation: Answer is B (Increased in alkaline phosphatase) Serum alkaline phosphatase is usually normal even with extensive bone involvement because of the absence of aslet)hractfr fictivity - Harrison 16th/ 659 Laboratory parameters in multiple myeloma : Anaemia: Normocytic normochromic ESR : markedly increased Hypogammaglobulinemiae Monoclonal spike on Serum protein electrophoresis - Monoclonal Gammopathy (M Band) Bone marrow replacement of normal marrow elements by plasma cells. Bence Jones Proteinuria: Light chain proteinuria (inclomplete IgG) Uric Acid level : Elevated due to increased cell turnover Serum calcium : Elevated Alkaline phosphatase : Normal Neutropenia & Thrombocytopenia rare